Which of the following type of aneurysm is associated with adult polycystic kidney disease?
1. Berry aneurysms in Circle of Willis
2. Saccular aneurysms of aorta
3. Fusiform aneurysms of aorta
4. Luetic aneurysms

Correct answer: 1. Berry aneurysms in Circle of Willis

Explanation: Patients with ADPKD have a 2-4 fold increased risk subarachnoid or cerebral hemorrhage from ruptured berry aneurysm in the circle of Willis. Saccular aneurysms of the anterior cerebral circulation may be detected in up to 10% of asymptomatic patients on magnetic resonance angiography (MRA) screening. Patients at risk for hemorrhage are: Age more than 50 Family history of intracranial hemorrhage Aneurysms more than 10mm Uncontrolled hypertension Other extrarenal manifestations of ADPKD are: Mitral valve prolapse and aortic regurgitation Hepatic cysts Colonic diverticula Abdominal wall and inguinal hernias Ref: Harrison's Principles of Internal Medicine 18e chapter 284.